Nalgonda technique involves addition of following chemicals:
1. Lime, bleaching powder, filter alum
2. Magnesia, calcium phosphate, filter alum
3. Alumina, carbon, lime
4. Sulphonated saw dust, coal, calcium phosphate

Correct answer: 1. Lime, bleaching powder, filter alum